Prolactin secretion will be inhibited by:
1. haloperidol
2. GAB A( Gama aminobutyric acid)
3. Neurophysin
4. Dopamine

Correct answer: 4. Dopamine

Explanation: Ans. is 'd' i.e. dopamine Prolactin is a hormone secreted by anterior pituitary. It is under the inhibitory control of hypothalamus through Prolactin releasing inhibitory hormone (PRIH)PRIH is actually dopamine which acts on pituitary lactotrope D2 receptor.Therefore Dopaminergic agonists decrease plasma prolactin levels while Dopaminergic antagonists increase plasma prolactin levels.* Just go through the list of following dopamine agonists and antagonists.